Which is the shortest acting mydriatic?
1. Atropine
2. Tropicamide
3. Cyclopentolate
4. Homatropine

Correct answer: 2. Tropicamide

Explanation: Ans. (B) Tropicamide(Ref: Katzung 11/e p124)Atropine is longest acting (5-6 days) whereas tropicamide is the shortest acting (15-60 min) mydriatic.